A 12 year old boy presents with vomiting within 3 hours of consumption of food at a party. What is the likely causative organism responsible for the symptoms ?
1. Staphylococcus aureus
2. Salmonella
3. Clostridium botulinum
4. Clostridium perfringens

Correct answer: 1. Staphylococcus aureus

Explanation: Incubation period of staphylococcal food poisoning is 1-6 hours. As per question, consumption of food is within 6 hrs (3hrs). Food Poisoning Organism Incubation period Staphylococcal 1-6 hours Salmonella 12-24 hours Botulism 12-36 hours Clostridium perfringens 6-24 hours Bacillus cereus 1-6 hours E.coli 8-72 hours